Acute emphysematous cholecystitis is caused by - rpt
1. Pseudomonas aeruginosa
2. Staph. Aureus
3. Clostridium perfringes
4. Strep. Pyocynacae

Correct answer: 3. Clostridium perfringes

Explanation: Question repeated.